After birth Ductus Venosus anatomically closes by
1. 10 to 96 hours
2. < 1week
3. 2 to 3 weeks
4. > 4 weeks

Correct answer: 3. 2 to 3 weeks

Explanation: The ductus venosus constricts by 10 to 96 hours after birth and is anatomically closed by 2 to 3 weeks, resulting in the formation of the ligamentum venosum.Reference: William's Obstetrics; 24th edition; Chapter 7; Embryogenesis and Fetal Morphological Development